Plasma sterilization uses:
1. Ethylene oxide
2. Hydrogen peroxide
3. Formaldehyde
4. Ozone

Correct answer: 2. Hydrogen peroxide

Explanation: Ans. (b) Hydrogen peroxide Ref. Chakarvoy 2/e 41; Principles amid practice of Disinfection and sterilization by A.P. Fraise, PA Lambert 4/e, p 423-428 Plasma Gas sterilization This is a type of chemical sterilization using hydrogen peroxide Hydrogen peroxide is vaporized which is then converted into plasma. For sterilization only cold plasma is used. When Hp, vapours are energized into plasma, hydroxyl and hydroperoxyl free radicals are generated along with production of UV rays. For details see answer no 15 of chapter 5.